An increase in alkaline phosphatase may be seen in all of the following conditions except one. Which one is the exception?
1. Hyperparathyroidism.
2. Osteoporosis.
3. Osteitis deformans.
4. Adenocarcinoma of the prostate.

Correct answer: 2. Osteoporosis.

Explanation: Increased levels of alkaline phosphatase may be observed in diseases that display extensive bone loss. Osteoporosis is characterized by a decrease in bone mass. There are either normal or decreased levels of alkaline phosphatase in patients diagnosed with this disease.